Marked decreased FVC and FEV1/FVC ratio are seen in -
1. Asthma
2. Kyphosis
3. Scoliosis
4. Fibrosis of lung

Correct answer: 1. Asthma

Explanation: Ans. is 'a' i.e., Asthma Differences between Obstructive and Restrictive respiratory DiseasePFT resultObstructive PatternRestrictive patternFEV1Decreased (< 80% predicted) (Decreased out of proportion to FVC)Decreased (May be preserved)(Decreased in proportion to FVC)FVCDecreased (May be preserved)Decreased (< 80 % predicted)FEV1/FVC (FEV1%)Decreased (< 0.7)Normal or Increased (> 0.7)FEF25-75< 50% predictedDecreased in proportion to loss of lung volumeTLCNormal or elevatedDecreasedDLCONormalDecreased in EmphysemaDecreased in intrinsic restrictive lung disease Normal in neuromuscular or musculoskeletal restrictive disease